Shortest skull diameter:
1. Biparietal
2. Mentovertical
3. Bitemporal
4. Bimastoid

Correct answer: 4. Bimastoid

Explanation: Biparietal diameter - 9.5 cm - between the 2 parietal eminences Bitemporal diameter - 8.5 cm Bimastoid diameter - 7.5 cm - between the 2 mastoid processes